Skin with all its appendages is known as:
1. Pilosebaceous unit
2. Integumentary system
3. Reactive unit
4. Malpighian system

Correct answer: 2. Integumentary system

Explanation: Skin with all of its appendages is known as Integumentary system. It protects the body from external damage, loss of water etc. It includes hair and nails as well.(in case of animals/birds/reptiles- includes scales, feathers, hooves as well)